All produce continuous murmurs except -
1. Mitral valve prolapse
2. Arterio venous malfromations
3. Ruptured sinus of valsalva
4. PDA

Correct answer: 1. Mitral valve prolapse